Least narcotic
1. Morphine
2. Codeine
3. Heroine
4. Papaverine

Correct answer: 4. Papaverine

Explanation: Papaverine The term narcotic was derived from the Greek word "stupor". At one time, the term referred to any drug that induced sleep, but then it became associated with "opioids". Now it is often used in legal context to refer to a variety of substances with abuse or addictive potential. Least potent narcotic does not mean opioid with least analgesic activity. - It means substance which has least addictive or abuse potential. "Papaverine is an alkaloid originally extracted from opium but devoid of narcotic properties". - It is present in opium but is structurally unrelated to morphine. - It is a nonspecific phosphodiesterase inhibitor and its principal action is to relax smooth muscles throughout the body. It is occasionally injected into an area where local vasodilation is desired especially into and around arteries and veins to relieve spasm during vascular surgery and when setting up intravenous infusions. It is also used to treat male erectile dysfunction - It is self injected in corpora cavernosa shortly before intercourse.